Sarcomere is between:
1. Two adjacent M lines
2. Two adjacent Z lines
3. Two adjacent H lines
4. Two adjacent I bands

Correct answer: 2. Two adjacent Z lines

Explanation: The light I band is divided by the dark Z line, and the dark A band has the lighter H band in its center. A transverse M line is seen in the middle of the H and, and this line plus the narrow light areas on either side of it are sometimes called the pseudo-H zone. The area between two adjacent Z lines is called a sarcomere.